As per RCH, the community health centre is a ?
1. First referral unit
2. Secondary referral unit
3. Teritary referral unit
4. Not a referral unit

Correct answer: 1. First referral unit

Explanation: Ans. is 'a' i.e., First referral unit First Referral Units (FRU) under the RCH programe 3 Community Health Cetres and Subdistric Hospitals that provide the following services can be declared as FRUs under the RCH programme. Three critical determinants for a facility to be declared as an FRU o Availibility of surgical interventions. o Availibility of new born care. o Availibility of blood storage facility on a 24 hour basis. o To be able to perform the full range of FRU functions a health facility (CHC or subdistrict hospital or otherwise) must have the followine facilities. Facilities required (not critical) to perform full range of FRU functions : a)A minimum bed strength of 20-30. However in difficult areas, as the Noh-East states and the under-served areas. this could initially be relaxed to 10-12 beds. b) A fully functional operation theatre c) A fully functional labour room d) An area equipped for new-born care in the labour room, and in the ward. e) A functional laboratory f) Blood storage facility g) 24-hour water supply and electricity supply h) Arrangements for waste disposal and i)Arnbulance facility